A 74-year-old woman complains of vomiting and intermittent colicky abdominal pain. X- rays reveal fluid levels and air in the biliary tree. What is the likely cause?
1. Abdominal adhesions
2. Gallstone ileus
3. Carcinoma of the right colon
4. Abdominal lymphosarcoma

Correct answer: 2. Gallstone ileus

Explanation: Gallstone ileus results in "tumbling" intestinal obstruction due to the intermittent nature of the condition. Previous choledochoduodenostomy could give air in the biliary tree but not obstruction.